The blood vessel related to the paraduodenal fossa is:
1. Gonadal vein
2. Superior mesentric artery
3. Portal vein
4. Inferior mesentric vein

Correct answer: 4. Inferior mesentric vein

Explanation: D i.e. Inferior Mesentric veinInferior mesenteric vein lies in paraduodenal recess; superior mesenteric vessels lies in mesentrico-parietal fossa of waldeyer; branch of ileo colic artery lies in superior ileo caecal recess and ureter (left) lies in intersigmoid recess. Transverse mesocolon contain middle colic vessels &nerves and lymphatics of transverse colon.